A person involved in a murder is brought to you for determination of age since the defence attorney wants him to be treated as a minor. The results of Xrays are as given below: 1) All the epiphyses of the elbow have fused 2) All the epiphyses of the shoulder joint have fused 3) The epiphyses of the inner end of the clavicles has fused 4) The ramus of pubis and ischium has fused What is the approximate age of this person assuming that it is a male?
1. 15 - 17
2. 18 - 19
3. 20 years
4. 21 or more

Correct answer: 4. 21 or more

Explanation: The epiphyses of the elbow joint fuses by 15 - 17 years in males. The epiphysis of the shoulder joint fuses by 18 - 19 years of age. If the inner end of the clavicle has fused he is at least 21 years of age or more. Also know In females the epiphyses fuses about 2 years earlier than in males. Ref: Textbook of Forensic Medicine and Toxicology by Narayan Reddy, Edition 21, Page -59.